Primary motor area (Area no. 4) of brain is supplied by:
1. Anterior cerebral artery
2. Middle cerebral artery
3. Anterior and middle cerebral artery
4. Anterior and posterior cerebral artery

Correct answer: 3. Anterior and middle cerebral artery

Explanation: - lateral surface of cerebrum receives supply from middle cerebral artery. -medial surface of cerebrum is majorly supplied by anterior cerebral artery. - The upper limb and head are represented on the lateral surface of the cortex in homunculus, whereas pelvis and lower limb are on the medial surface of the hemispheres.